Receptor for inverse stretch reflex?
1. Golgi tendon organ
2. Ruffines end organ
3. Neuromuscular junction
4. Muscle spindle

Correct answer: 1. Golgi tendon organ

Explanation: Ans. a (Golgi tendon organ). (Ref. Ganong, Physiology, 21st ed. 133)The harder a muscle is stretched, the stronger is reflex contraction however, when tension becomes great enough contraction suddenly ceases & muscle relaxes. This relaxation in response to stronger stretch is inverse stretch reflex or autogenic inhibition.REFLEXES:.Sr. no.MonosynapticDisynapticPolysynaptic1.Stretch reflexInverse stretch reflexWithdrawal reflex (crossed extensor); all superficial reflexes2.Receptors in intrafusal fibresReceptors in golgi tendon organ-3.Afferent thro lalphaAfferent thro lb-4.NT-glutamateNT-glutamate-(Note -- Intrafusal fibres are nuclear bag and nuclear chain fibres)